Hormone involved in regulation of BP
1. Serotonin
2. Angiotensin - II
3. Dopamine
4. Prostaglandin

Correct answer: 2. Angiotensin - II

Explanation: Ans. (b) Angiotensin - IIRef: Ganong, 25th ed/p.575Angiotensin - II is a vasoconstrictor. By itself, it is involved in short term regulation of BPThe same angiotensin - II is also involved in long term regulation of BP as a part of Renin Angiotensin aldosterone system (RAAS)